Which is not involved in Ankylosing spondylitis :
1. Knee & Ankle
2. Sacroiliac joint
3. Wrist & elbow
4. Spine

Correct answer: 3. Wrist & elbow

Explanation: Ans. is 'c' ie Wrist & elbow Ankylosing spondylitis also k/a Marie-Strumpell ds is a chronic ds characterized by progressive inflammatory stiffening of the joints with a predilection for the joints of axial skeleton. MC involved joint - Sacro iliac joint* , next is spine Also Remember Sex ratio : M>F (10:1)* Age gp : young (15-30 yr) X-ray appearance Bamboo spine* Squaring of vertebrae Ankylosing spondylitis is a very imp topic and a good look at it will definitely help you.